Most common agent responsible for Bronchiolitis is -
1. RSV
2. Adenovirus
3. Herpesvirus
4. Influenza virus

Correct answer: 1. RSV

Explanation: In 25-30 %to lower respiratory involvement, including tracheobronchitis, bronchiolitis, and one monia are due to respiratory syncytial virus REF:ANANTHANARYANAN TEXTBOOK OF MICROBIOLOGY 9EDITION PGNO.511